Actinic keratosis is seen in :
1. Basal cell carcinoma
2. Squamous cell carcinoma
3. Malignant melanoma
4. Epithelial cell carcinoma

Correct answer: 2. Squamous cell carcinoma

Explanation: B i.e. Squamous Cell Carcinoma